For revised NPCB cataract surgeries are approaches followed except:
1. Uniform distribution
2. Regular follow up
3. Fixed place surgery treatment
4. Mobile surgery camps

Correct answer: 4. Mobile surgery camps

Explanation: D i.e. Mobile surgery camps Revised stegies regarding catarct surgeries under NPCB Follow up of operated casesQ To shift from eye camp approach to fixed facility surgical approachQ To shift from conventional surgery to IOL implantation To improve infrastructure i.e. operation theatres, equipments To train surgeons in modern techniques To strenghthen participation of NGOs To target under-served areas